Most common cause of sudden death is:
1. Cerebral haemorrhage
2. Arrhythmias
3. Ruptured aortic aneurysm
4. Cancer

Correct answer: 2. Arrhythmias